Preservation of brain is not required in
1. Alkaloid poisoning
2. Organophosphorus poisoning
3. Volatile organic poisoning
4. Heavy metal poisoning

Correct answer: 4. Heavy metal poisoning

Explanation: D i.e. Heavy metal